A decrease in which of the following parameters will shift the O2 dissociation curve to the right?
1. pH
2. Partial pressure of CO2
3. 2,3 DPG concentration
4. Temperature

Correct answer: 1. pH

Explanation: Left shift (high affinity for O2) Right shift (low affinity for O2) Temperature decrease increase 2.3-DPG decrease increase p(CO2) decrease increase p(CO) increase decrease pH (Bohr effect) increase (alkalosis) decrease (acidosis) Type of haemoglobin Fetal haemoglobin Adult haemoglobin